In lateral rectus palsy of the right side, the face of the patient is turned to which of the following sides?
1. Upwards
2. Downwards
3. Towards the right side
4. Towards the left side

Correct answer: 3. Towards the right side

Explanation: Ans. (c) Towards the right sideRef: A.K. Khurana 6th ed. / 337-39* VIth nerve palsy leads to loss of abduction/lateral gaze leading to abnormal head posture towards the side of affected muscle* There is Presence of convergent squint also.Also Know*Diplopia on looking down* Inability to look inferomedially